Vertebral artery arises from -
1. 1st part of subclavian artery
2. 2nd part of subclavian artery
3. 3rd part of subclavian artery
4. 4th part of subclavian artery

Correct answer: 1. 1st part of subclavian artery

Explanation: Ans. is 'a' i.e., 1st part of subclavian artery Branches of subclavian arteryo 1st Part - Vertebral artery, internal thoracic artery', thyrocervical trunk, and on left side costocervical trunk,o 2nd Part - On right side costocervical trunk,o 3rd Part - Dorsal scapular artery'.